Gastric infection with the bacterium H. pylori are linked with following Except
1. Accounts for the majority of peptic ulcer disease
2. Plays a role in the development of gastric mucosa associated lymphoid tissue (MALT) lymphoma
3. Plays a role in the development of gastric adenocarcinoma
4. Plays a role in development of 2 diabetes mellitus

Correct answer: 4. Plays a role in development of 2 diabetes mellitus

Explanation: H pylori release enzymes like urease that hydrolyzes urea so as to release ammonia which through negative feedback mechanism increases gastrin release from G cells..H pylori impair mucosal healing cause degranulation of eosinophils. It releases various proteases and lipases that break mucus and so strong protective mucus barrier. Also, secretes cytotoxins which may be involved in inflammatory reaction or malignancy. SRB s manual for Surgery 5 th ed pg 820